Weil Felix reaction is based on sharing of antigens between
1. Sheep RBC and EBV
2. Mycoplasma and human RBC
3. Rickettsia antigens and proteus antigens
4. None

Correct answer: 3. Rickettsia antigens and proteus antigens

Explanation: Weil Felix -eg for heterophile specificity -sharing between Rickettsia and Proteus Paul Bunnell - between sheep RBC and EBV Ref: Textbook of Microbiology Baveja 5th ed Pg 95